A 48 years of woman was admitted with a history of weakness for two months. On examination cervical lymph nodes were found enlarged and spleen was palpable 2 cm below the costal margin. Her hemoglobin was 10.5g/di. Platelet count 237x 109/L, and total leukocyte count 40x109/L, which include 80% mature lymphoid cell with coarse clumped chromatin. Bone marrow revealed dnodular lymphoid infiltrate. The peripheral blood lymphoid cells were positive for CD19, CD5, CD20 and were negative for CD79B and FMC(-7). Which one of the following statements is not true about this disease?
1. Trisomy 12 correlates an aggressive clinical course
2. Abnormalities of 13q 14 are associated with long term survival
3. Case with 11q22-23 deletions have excessive lymphadenopathy
4. t(11;14) translocation is present in most of the cases

Correct answer: 4. t(11;14) translocation is present in most of the cases

Explanation: Answer is D (t(11,14) translocation is present in most of the cases) The profile of this patient is consistent with a diagnosis of CLL (Refer previous question) t (11;14) translocation is characteristic of Mantle cell lymphoma and not CLL. The most common genetic abnormality in CLL are deletions on the long arm of chromosome 13 (13814)